In anal sex what is the child passive agent called-
1. Catamite
2. Paedolite
3. Paedophile
4. Paederasty

Correct answer: 1. Catamite

Explanation: Ans. is 'a' i.e., Catamite Sodomyo Anal intercourse between two males or between a male and female is referred to as sodomy.o It is also called buggery.o It is called gerontophilia when the passive agent is adult,o It is called paederasty when the passive agent is a child,o Catamite is the name given to the child who is the passive agento A pedophilia is an adult who repeatedly engages in n sexual activities with children.